Most common cause for acute infantile gastroenteritis is?
1. Adenovirus
2. E coli
3. Norwalk virus
4. Rota virus

Correct answer: 4. Rota virus

Explanation: ANSWER: (D) Rota virusREF: www.ncbi.nlm.nih.gov, J Clin Microbiol v. 26(12); Dec 1988Though none of the text books specifically mention most common causes of acute infantile gastroenteritis, most of the literature search in pubmed , cochrane and medscape and major text books of pediatrics point to: Viruses are more common causes of gastroenteritits in children. Of the viruses most common is rotavirus.Other viruses implicated are calciviruses, Norwalk, adenovirus.Also E.coli is a major cause of diarrhea in children.Other bacteria are: campylobacterium, yersinia enterocolitica, A. hydrophillia .